A pregnant female presents with pain in abdomen on examination, tenderness is found in right lumbar region. TLC is 12,000/cu mm, and urine examination is normal, for diagnosis further test done is:
1. Chest X-ray with abdominal shield
2. Ultrasound abdomen
3. Noncontrast CT abdomen
4. Laparoscopy

Correct answer: 2. Ultrasound abdomen

Explanation: Ans. (b) Ultrasound abdomenAppendicitis in pregnancy:* Most common nonobstetric surgical disease of abdomen in pregnancy* There is no increased risk of appendicitis in pregnancy* Fetal mortality is the risk in appendicitis which may be nearly 50% if the appendix perforates* USG is the IOC* Laparoscopic early appendectomy is treatment of choice